A patient with sulphur granules discharging from sinus, suggestive of infection with -
1. Staphylococcus
2. H ducryei
3. Mycetoma
4. Sporotrichosis

Correct answer: 3. Mycetoma

Explanation: Ans. is 'c' i.e., Mycetoma o Mycetoma are chronic, slowly progressive infections of the subcutaneous tissue usually of the foot caused by a number of Actinomycetes and filamentous fungi.o The disease usually begins as a small subcutaneous swelling of the foot, which enlarges, burrowing into deeper tissues and tracking to the surface as multiple sinuses discharging viscid, seropurulent fluid containing granules.